Lutembacker syndrome - include A/E ?
1. Mitral stenosis
2. ASD
3. VSD
4. Left to right shunt

Correct answer: 3. VSD

Explanation: Ans. is 'c' i.e., VSD Lutembacher syndrome is defined as a combination of mitral stenosis and a left-to-right shunt at the atrial level. Typically, the left-to-right shunt is an atrial septal defect (ASD) of the ostium secundum variety. Both these defects, ASD and mitral stenosis, can be either congenital or acquired